Oral Contraceptive Pills are protective from all of the following conditions except ?
1. Endometriosis
2. Ovarian Carcinoma
3. Benign Breast Disease
4. Deep Venous Thrombosis

Correct answer: 4. Deep Venous Thrombosis

Explanation: Deep Venous Thrombosis